A characteristic feature of TB otitis media:
1. Multiple perforations in TM
2. Mastoiditis
3. Middle ear effusion
4. Ear discharge

Correct answer: 1. Multiple perforations in TM

Explanation: TB otitis media is mostly secondary to pulmonary TB.
More common in children and young adults. Patients have painless ear discharge which may be foul smelling and severe conductive hearing loss which is out of proportion to symptoms.
On examination, multiple perforations are seen on the tympanic membrane, pale granulation tissue in the middle ear and there may be facial nerve palsy. Investigations include the culture of the discharge. Histopathological examination of the granulation tissues and chest X-ray for ruling out pulmonary TB.
Treatment is with Antitubercular drugs.